A patient comes to the clinic requesting a tuberculin skin test as a part of his preemployment check up. All of the following are methods of tuberculin testing except
1. Tine test
2. Heaf test
3. Pirquet test
4. Quantiferon gold

Correct answer: 4. Quantiferon gold

Explanation: Quantiferon gold is not a type of tuberculin skin test. It is a type of interferon-gamma release assays (IGRAs), a whole-blood tests that can aid in diagnosing Mycobacterium tuberculosis infection. Two IGRAs that have been approved by the US (FDA) are QuantiFERON-TB Gold In-Tube test (QFT-GIT); T-SPOT.TB test (T-Spot) There are 3 described methods for tuberculin skin testing (TST): Mantoux test, also known as the Pirquet test (preferred method) Heaf test Tine test Reference: Ananthanarayan and Paniker's Textbook of Microbiology Tenth edition